Which of the following is not a cause for reversible dementia?
1. Toxic dementia
2. Hypothyroidism
3. Multi infarct dementia
4. Subdural heamatoma

Correct answer: 3. Multi infarct dementia

Explanation: Multiinfarct or vasular dementia is irreverisble or non curable. Reversible Causes of Dementia Toxic Dementia: Impairment from toxic side effects of medications or drugs Tumors : that can be removed Trauma : Subdural hematoma Normal pressure hydrocephalus Metabolic disorders : such as a vitamin B12 deficiency Hypothyroidism Hypoglycemia